Flapping tremor occurs due to all except?
1. C02 narcosis
2. Hepatic encephalopathy
3. Uremic encephalopathy
4. Paralysis Agitans

Correct answer: 4. Paralysis Agitans

Explanation: Flapping tremor (Asterixis) - CO2 Narcosis - Hepatic encephalopathy - Urinemic encephalopathy Paralysis Agitans - Parkinsonism like manifestation Metabolic encephalopathy -Anomic Aphasia, Asterixis